The major clinical use of Nimodipine is in
1. Hypertension
2. Angina pectoris
3. Sub arachnoid haemorrhage
4. Raynouds phenomenon

Correct answer: 3. Sub arachnoid haemorrhage

Explanation: Refer kDT 6/e p532 subarachnoid hemorrhage USES: Nimodipine is used to decrease problems due to a certain type of bleeding in the brain (subarachnoid hemorrhage-SAH).Nimodipine is called a calcium channel blocker. The body naturally responds to bleeding by narrowing the blood vessel to slow blood flow.